All are true about Rt kidney except :
1. Rt renal vein is shoer then left
2. Related to duodenum
3. Rt kidney is preferred over left for transplantation
4. Rt kidney is placed at the lower level than left.

Correct answer: 3. Rt kidney is preferred over left for transplantation

Explanation: C. i.e. Rt kidney is preferred over left kidney for transplantation- Left kidney is usually choosen for transplantation because it has longer renal vein which simplifies transplant operation.Q- Transplanted kidney is placed in iliac fossa, in the retroperitoneal position leaving native kidney in situ.- Renal vein is anastomosed to external iliac vein (end to side manner)Renal aery is anastomosed to external iliac aery (end to side, if carrel patch of donar aoa is present) or internal iliac aery (end to end anastomosis when carrel patch is not present)Ureter is kept sho to avoid distal ischemia.>- - Right kidney is faher from diaphragm (lower) & faher from median plane as compared to leftQ